Podocytes are seen in
1. Bowman's capsule
2. Proximal consulted tubule
3. Distal convoluted tubule
4. Collecting tubule of the kidney

Correct answer: 1. Bowman's capsule

Explanation: Reference Robbins page no Pg 900 Podocytes are cells6in the Bowman's capsule in the kidney s that wrap around the capillaries of the Glomerulus